Specific reason to disallow the sample for culture-
1. Sample brought within 2 hr of collection
2. Sample brought in sterile plastic container
3. Sample brought in formalin
4. Sample obtained after cleaning the collection site

Correct answer: 3. Sample brought in formalin